A patient presents with diarrhoea. analysis of stool on wet mount shows mobile protozoa without RBCs and pus cells. The diagnosis is -
1. Balantidium coil
2. Giardiasis
3. Trichomonas hominis
4. Entamoeba histolytica

Correct answer: 2. Giardiasis

Explanation: Ans. is 'b' i.e., Giardiasis . Mobile protozoa with absence of RBC's and pus cells in stools in a patient with diarrhoea suggests giardiasis. . In balantidum cob and entomoeba histolytica infections, pus cells and RBC's will be present in stools. Trichomonas hominis is considered as non-pathogenic